Most common type of heavy chain disease is?
1. Alpha chain disease
2. Gamma chain disease
3. Mu chain disease
4. Delta chain disease

Correct answer: 1. Alpha chain disease

Explanation: Ans. is 'a' i.e., Alpha chain disease * Heavy chain diseases are plasma cell disorders that are typically malignant. They are a form of paraproteinemias in which incomplete monoclonal immunoglobulins (true paraproteins) are produced. They consist of only heavy chain components (either alpha , gamma , mu , or delta ) without light chains.* The clinical picture is more like lymphoma than multiple myeloma* There are four forms:i) Alpha chain disease (Seligmann's disease)- most common typeii) Gamma chain disease (Franklin's disease)iii) Mu chain diseaseiv) Delta chain disease